All are alkylating agents except :
1. Cyclophosphamide
2. Lomustine
3. Busulfan
4. Zalcitabine

Correct answer: 4. Zalcitabine